All are growth promoting oncogenes except ?
1. FGF
2. TGF-a
3. TGF-(3
4. PDGF

Correct answer: 3. TGF-(3

Explanation: Ans. is 'c' i.e.TGF-(3